Most common complication of pseudocyst of pancreas is
1. Rupture into peritoneum
2. Hemorrhage
3. Infection
4. Rupture into colon

Correct answer: 3. Infection

Explanation: Ans. (c) InfectionRef: Sabiston 20th edition page 1530* Most common complication of Pseudo cyst is Infection* Treatment of infected Pseudocyst is external drainage